Thick pus of streptococci is converted thin by enzyme -
1. DNAase
2. Streptokinase
3. RNAase
4. C5a peptidase

Correct answer: 1. DNAase

Explanation: Ans. is 'a' i.e.,DNAase Deoxyribonuclease (DNAase) of streptococcus is also called as streptodornase.They cause depolymerization of DNA. They liquefy highly viscous DNA that accumulates in thick pus.This is responsible for the thin serous character of streptococcal exudates.